Riboflavin is an important group of water soluble vitamin. Cereals and pulses are relatively good sources of Riboflavin. Most common lesion associated with Riboflavin deficiency, which can also be used as an index of state of nutrition of group of children is
1. Cheilosis
2. Angular stomatitis
3. Glossitis
4. Nosolabial dyssberia

Correct answer: 2. Angular stomatitis